Standard deviation to mean ratio denotes the
1. Standard error
2. Coefficient of variance
3. Proportion
4. Coefficient of skewness

Correct answer: 2. Coefficient of variance